Cycle that is seen in RBC's in malaria is
1. Sexual
2. Sporogony
3. Exogenous
4. Endogenous

Correct answer: 4. Endogenous

Explanation: Human cycle of plasmodium Pre-erythrocytic Schizogony Development of sporozoites in liver parenchyma Liberated merozoites are called as "Cryptozoites" No clinical manifestations ; No pathological change Blood is sterile Erythrocytic Schizogony Parasite resides inside RBCs; Passes through stages of Trophozoite, Schizont, Merozoite Parasitic multiplication brings clinical attack of malaria Gametogony Some merozoites develop in RBC's of spleen and bone marrow to form 'Gametocytes' Exo-Erythrocytic Schizogony Persistence of late tissue phase in liver Seen in P.vivax and P.ovale Cause of relapses in Vivax and ovale Malaria. Liberated merozoites are known as 'Phanerozoites' Ref: Park 25th edition Pgno : 281-286